What is diagnostic of fresh myocardial infarction In ECG-
1. QT interval prolongation
2. Pmitrale
3. ST segment elevation
4. ST segment depression

Correct answer: 3. ST segment elevation

Explanation: Ref: R Alagappan - Manual of Practical Medicine 4th Edition.pg no:184 ECG * May be normal initially and hence serial ECGs must be taken. * ST elevation and T-wave inversion with pathological Q-waves are typically seen in leads adjacent to the infarcted segment of myocardium. * Reciprocal ST depression or T-wave inversion in opposite leads. * A non-Q-wave infarct may occur and has a high risk of mortality (as they are prone to develop dangerous arrhythmias and recurrent angina).